Extrapyramidal symptoms are seen with the use of:
1. Metoclopramide
2. Domperidone
3. Prolactin
4. All of the above

Correct answer: 1. Metoclopramide